Rate of newly synthesized osteoid mineralization can be best estimated by:
1. Tetracycline labeling
2. Alizarin Red stain
3. Calcein stain
4. Von kossa stain

Correct answer: 1. Tetracycline labeling

Explanation: Tetracycline labeling is a type of bone label study used to estimate rate of newly synthesized osteoid mineralization. It is most commonly and widely used method. Ref: 'Target Organ Pathology' By Hooson, (1997), Page 270; Harrison's Principles of Internal Medicine, 16th Edition, Page 2223; Bone Research Protocols, (2003), Page 305